Commonest cause of carcinoma endometrium is
1. Unopposed estrogen
2. Multiple sex partner
3. Early marriage
4. Early menarchae

Correct answer: 1. Unopposed estrogen

Explanation: (Unopposed estrogen) (392-S) (374-SI4th)Predisposing factors for carcinoma endometrium* Unsupervised administration of HRT with oestrogens alone during the menopause predisposes these women to develop endometrial hyperplasia and cancer* Women with oestrogen dominance suffering from endometrial hyperplasia and presenting as cases of DUB are prone to endometrial cancer* In some families there is a strong familial predisposition to the disease. This may be due to genetic factors or dietic habits* Tamoxifen prescribed to women with breast cancer are prone to develop endometrial hyperplasia / cancer* OCP have a protective effect. Also the practice of adding progestogens to oestrogen for HRT during the last 12 to 14 days of the cycle is protective against development of endometrial cancer* Obesity, Hypertension, DM are associated with endometrial cancer in 30% cases* Infertile women, those with fewer children and subjects of PCOD are prone to the disease